Difference between the amount of chlorine added to the water and the amount of residual chlorine remaining at the end of a specific period of contact at a given temperature and pH of water.
1. Break point.
2. Chlorine demand.
3. Loss of head.
4. Back wash.

Correct answer: 2. Chlorine demand.